The most reliable criteria in Gustafson's method of identification is
1. Cementum apposition
2. Transparency of root
3. Attrition
4. Root resorption

Correct answer: 2. Transparency of root